Lower esophageal sphincter:
1. Has no tonic activity
2. Has a tone which is provided by the sympathetic system
3. Relaxes on increasing abdominal pressure
4. Relaxes ahead of the peristaltic wave

Correct answer: 4. Relaxes ahead of the peristaltic wave

Explanation: D i.e. Relaxes ahead of the peristaltic wave